All statements are true about Paget-Schroetter syndrome except
1. Also known as Venous thoracic outlet syndrome
2. Associated with Jugular-subclavian venous thrombosis(JSVT)
3. H/O performing prolonged activities
4. Results in damage to the subclavian vein

Correct answer: 2. Associated with Jugular-subclavian venous thrombosis(JSVT)

Explanation: Paget-Schroetter syndrome Also k/a Venous thoracic outlet syndrome or Effort thrombosis Associated with Axillary-subclavian venous thrombosis (ASVT) C/F : H/O performing prolonged activities ,Repetitive motion activities, Results in damage to the subclavian vein, where it passes between head of clavicle and first rib in association with the subclavius muscle.